Which of the following is an epileptogenic anesthetic agent
1. Isoflurane
2. Sevoflurane
3. Methoxyflurane
4. Halothane

Correct answer: 2. Sevoflurane

Explanation: B i.e. Sevoflurane